AML best prognosis is seen with ?
1. Acute myelo monocytic leukemia.
2. Acute monocytic leukemia.
3. Acute promyeloblastic lukemia (M.3).
4. Erythro leukemia

Correct answer: 3. Acute promyeloblastic lukemia (M.3).

Explanation: Ans. is 'c' i.e., Acute promyeloblastic leukemia (M.3) Acute promycloblastic leukemia Also known as M-3 Associated with t(15:17) DIC, chloromas common Very responsine to retinoic acid combined with anthracylines. M.7 (acute megakaryocytic leukemia) mostly seen in down syndrome. French-American-British (FAB) Classification of Acute Myelogenous Leukemia